Which of the following type of pancreatitis is associated with better prognosis ?
1. Alcoholic pancreatitis
2. Gall stone pancreatitis
3. Post operative pancreatitis
4. Idiopathic pancreatitis

Correct answer: 2. Gall stone pancreatitis

Explanation: Pancreatitis caused by a remediable cause such as cholilithiasis is associated with best prognosis. Eradication of gallsones can prevent further attacks of pancreatitis. Gall stone pancreatitis accounts for about 90% of cases of acute pancreatitis. Women are more affected than men. In this, gallstone is typically located in the distal common bile duct, which shares its pathway with the main pancreatic duct. Gallstones are recoverable in the feces of over 90% of patients within 10days of an attack of acute pancreatitis. Treatment involves supportive care till amylase and lipase levels returns to normal. ERCP with sphincterectomy and stone retrieval is done in patients who do not pass the stone spontaneously. After the resolution of of an episode of gallstone pancreatitis, patient should be treated with a laparoscopic hysterectomy with a cholangiogram. Ref: Oxford Textbook of Surgery, 2nd Edition, Page 1766; Clinical Review of Surgery: ABSITE Preparation By Surgisphere Corporation, Page 237-8